The amount of blood loss during each menstrual period is about :
1. 10 cc
2. 35 cc
3. 50 cc
4. 100 cc

Correct answer: 2. 35 cc

Explanation: Ans. is b i.e. 35 cc Normal Menstrual Cycle : Average amount of blood loss = 35 ml / cycledeg Normal duration of flow < 7 daysdeg Mean duration = 4.7 daysdeg Cycle length = 21 - 35 daysdeg Abnormal menses terminology Term Interval Duration Amount Menorrhagia Regular Prolonged Excessive Metrorrhagia Irregular Prolonged Normal Menometrorrhagia Irregular Prolonged Excessive Hypermenorrhea Regular Normal Excessive Hypomenorrhea Regular Normal or less Less Oligomenorrhea Infrequent or irregular Variable Scanty Amenorrhea Absent No menses for 90 days Absent Also know : Recurrent bleeding in excess of 80 ml/cycle causes anemia.